The minimum period required for post-exposure chemoprophylaxis for HIV is :
1. 4 weeks
2. 6 weeks
3. 8 weeks
4. 12 weeks

Correct answer: 1. 4 weeks